Inclusion conjunctivitis is caused by –
1. Chlamydia trachomatis
2. Chlamydia psittaci
3. Herpes
4. Gonorrhea

Correct answer: 1. Chlamydia trachomatis

Explanation: Trachoma → Chlamydia trachomatis serotypes A, B, Ba, C.
Inclusion conjunctivitis → Chlamydia trachomatis serotypes D to K.